Low birth weight is defined as
1. Weight < 10 percentile for their gastational age
2. Weight < 2.0 kg
3. Weight < 1.5 kg
4. Weight < 2.5 kg

Correct answer: 4. Weight < 2.5 kg

Explanation: Low birth weight (LBW) neonate- A neonate weighing less than 2500g at birth irrespective of the gestational age.
Very low birthweight (VLBW) neonate- A neonate weighing leas than 1500g at birth irrespective of the gestational age.
Extremely low birth weight (ELBW) neonate- A neonate weighing leas than 1000g at birth irrespective of the gestational age.